Solid and largest lymphatic organ of the body is
1. Spleen
2. Thymus
3. Lymph node
4. Liver

Correct answer: 1. Spleen

Explanation: (A) Spleen# Largest lymphatic organ in the human body is the spleen.> Primary function of the spleen is to purify the blood and store blood cells. It helps the immune system identify and combat foreign antibodies.> The spleen consists of white pulp and red pulp. The white pulp generates blood cells and synthesizes antibodies, and the red pulp removes old blood cells and filters the blood.